Which one of the following is the drug of choice in the case of ventricular tachycardia in myocardial infarction ?
1. Xylocaine
2. Digitalis
3. Quinidine
4. Disopyramide

Correct answer: 1. Xylocaine